Oesophageal atresia may occur as a part of VACTER group of anomalies. What does `TE' stand for?
1. Tetralogy of Fallot
2. Thoracic empyema
3. Tracheo-oesophageal fistula
4. Talipes equinovarus

Correct answer: 3. Tracheo-oesophageal fistula

Explanation: Ans. is 'c' i.e., Tracheo-oesophageal fistula